Most common gas used for pneumoperitoneum -
1. Nitrogen
2. CO2
3. O2
4. Air

Correct answer: 2. CO2

Explanation: Ans. is 'b' i.e., CO2 * First Pneumoperitoneum was created by filtered room air. Carbon dioxide & N20 are now preferred gas because of increased risk of air embolism with room air.